Father of Evidence Based Medicine is:
1. Sackett
2. Da vinci
3. Hippocrates
4. Tolstoy

Correct answer: 1. Sackett

Explanation: Father of Evidence based medicine (EBM): David Lawrence Sackett founded first Department of Clinical Epidemiology in Canada, founded Oxford Centre for EBM Wrote books: Clinical Epidemiology Evidence Based Medicine